A sub-centre caters the needs of ---population ?
1. 30000
2. 15000
3. 5000
4. 10000

Correct answer: 3. 5000

Explanation: Ans. is 'c' i.e., 5000